Most commonly varicose veins are seen with ?
1. Long saphenous vein
2. Short saphenous vein
3. Both
4. popliteal and femoral vein

Correct answer: 1. Long saphenous vein

Explanation: Ans is 'a' ie. long saphenous vein " The usual distribution of varicose veins is below the knee in branches of the greater saphenous system."